An, 8 year old boy, weighing 30kg is undergoing resection of wilms tumor. His hemoglobin is 12g/dL. If the threshold for transfusion is 8g/dL, the allowable blood loss is
1. 820ml
2. 840ml
3. 860ml
4. 880ml

Correct answer: 2. 840ml